'Bioavailability' is defined as:
1. The volume of plasma completely cleared of a specific compound per unit time and measured as a test of kidney function
2. The percentage of drug that is detected in the systemic circulation after its administration
3. Both
4. None

Correct answer: 2. The percentage of drug that is detected in the systemic circulation after its administration